All of the folllowing undergo Cell division EXCEPT:
1. Pericyte
2. Cardiac muscle cell
3. Smooth muscle cell
4. Satellite cell of skeletal muscle

Correct answer: 2. Cardiac muscle cell

Explanation: ANSWER: (B) Cardiac muscle cellREF: Ganong 22nd edition chapter 3"It is generally accepted that binucleated cardiomyocytes cannot divide, but can readily enlarge"Whereas the majority of cardiomyocytes are terminally differentiated and possess no regenerative capacity, a small number of precursor cells do exist and these retain the ability to divide and form mature cardiomyocytes (REF: Essential cardiology: principles and practice 2nd edition Clive Rosendorff Page 355)Until recently, it was commonly believed that cardiac muscle cells could not be regenerated. However, a study reported in the April 3, 2009 issue of Science contradicts that belief (REF: http ://www. ncbi.nlm. nih. gov/pubmed/19342590)(Note: For this question cardiomyocytes can be taken as answer as all other options are well known to divide and regenerate)